Rule of Hasse is used to determine
1. The age of fetus
2. Height of an adult
3. Race of a person
4. Identification

Correct answer: 1. The age of fetus

Explanation: A i.e. The age of fetus Rule of Hasse is used to determine the age of fetus from its crown to heel length (in cm).Q